Which of the following is not included in the "Malnutrition universal screening tool" (MUST) for assessment of risk of undernutrition ?
1. Age
2. BMI
3. Weight loss
4. Acute disease effect

Correct answer: 1. Age

Explanation: The MUST tool: